Copper content in low copper amalgams is:
1. 6%
2. 12-30%
3. 29%
4. 19%

Correct answer: 1. 6%